Troponin-T is a marker of -
1. Renal diseases
2. Muscular dystrophy
3. Cirrhosis of liver
4. Myocardial infarction

Correct answer: 4. Myocardial infarction

Explanation: MARKERS IN MYOCARDIAL INFARCTION

Myoglobin
Earliest marker to rise
Rises within 1 hour
Clears in 4-12 hours
Poor specificity.
Cardiac-specific troponin T (cTnT) and troponin I (cTnI)
Normally NOT detectable in healthy individuals without MI
Most sensitive cardiac biomarker
Rise at 2 to 4 hours
The peak at 48 hours
Remain elevated upto 7-10 days
Elevated in microinfarctions (NSTEMI), not in unstable angina.
Creatine kinase (CK)
CK rises within 4-8 hours
Returns to normal in 48-72 hours
Not specific, also rises in Muscle disease. Trauma. IM injections. Defibrillation
CK MB isoenzyme is more cardiac specific
CK MB also high in Myocarditis, Cardioversion. Cardiac surgery
The ratio of CK MB mass: CK activity > 2.5 suggestive of a cardiac cause.
Lactate dehydrogenase (LDH)
Last marker to rise.
LDH-1 is specific to cardiac tissue
LDH-l/LDH-2 ratio is a good indicator of MI.
Aspartate aminotransferase - Rarely used clincially.